An increased incidence of pancreatitis is associated with all of the following except?
1. Alcoholism
2. Cholelithiasis
3. Chlorothiazide therapy
4. Hypertension

Correct answer: 4. Hypertension

Explanation: Ans- (d) HypertensionRef: Robbings pathology 9th ed. /884-86* Acute pancreatitis is seen chiefly in males after age 40 and often associated with obesity and alcoholism.* In about 50 percent of the cases, gallstones are also present.* Pancreatitis occurs in about 10 percent of cases of hyperparathyroidism* Long term Thiazides can also contribute to development of pancreatitis* In some cases calculi resulting from the hypercalcemia of hyperparathyroidism develop in pancreatic ducts and lead to obstruction and inflammation.